Hypoplasia of limb and scarring is caused by:
1. Varicella
2. Herpes simplex
3. Rubella
4. Toxoplasma

Correct answer: 1. Varicella

Explanation: Ans. (a) Varicella Congenital varicella syndrome is characterically associated with limb reduction defects (If infection occurs prior to limb bud formation) and scarring of skin. Any neonate with limb defect along with skin scarring should be investigated for congenital varicella syndrome. Limb hypoplasia and congenital varicella Limb hypoplasia are seen if infection occurs prior to or during limb bud formation The virus has affinity to tissues that are in a rapid development stage such as the limb buds Fetus infected at 6-12 weeks of gestation appears to have maximal risk of limb hypoplasia The remaining of the torso may be entirely normal in appearance Scarring of Skin (Cicatrical skin lesions) Scarring of skin is a common feature of congenital varicella syndrome The characteristic cutaneous lesion has been called a Cicatrix Cicarix represents zigzag scarring in a dermatomal distribution (and is often associated with atrophy of the affected limb)